Which of the following statement regarding internal resorption is accurate?
1. It is rare in deciduous teeth
2. It is initiated by odontoblasts
3. It is seldom confused with external resorption
4. It is usually asymptomatic

Correct answer: 4. It is usually asymptomatic